The main site of absorption of ingested fluorides is
1. esophagus
2. stomach and small intestine
3. small and large intestine
4. large intestine

Correct answer: 2. stomach and small intestine